If the concentration of inhaled 02 is doubled in a normal person then the resultant effect will be:
1. 02 dissolved in plasma increases, but with Hb remains relatively constant
2. 02 dissolved in plasma increases, but with Hb decreases
3. 02 dissolved in plasma will remain constant, but with Hb increases
4. 02 dissolved in plasma will remain constant, but with Hb remains constant

Correct answer: 1. 02 dissolved in plasma increases, but with Hb remains relatively constant

Explanation: Ans: A.O2 dissolved in plasma increases, but with Hb remains relatively constantOption a is correct because normally Hb is 97% saturated, so even with increased concentration of inhaled O2, the % saturation of Hb slightly raises or remains relatively constant. Also the maximum O2 saturation of Hb can never be more than 100%, which is only 3% above normal.There will be increased in amount of dissolved O2 Normally, only about 3% of the total 02 is transported in dissolved state, as compared with 97% transported by the Hb.According to Henry's law partial pressure = concentration of dissolved gas/solubility and coefficient concentration of dissolved gas = partial pressure x solubility coefficientAnd we know that pressure of gas is directly proportional to the concentration of the gas molecules. So, with increasing concentration of the inhaled O2, there will be proportionate increase in 02 dissolved in plasma.Graph of oxyhemoglobin dissociation curve with 02 concentration given below: